Which of the following is a smallest posterior tooth:
1. Maxillary first premolar
2. Mandibular first premolar
3. Maxillary second premolar
4. Mandibular second premolar

Correct answer: 2. Mandibular first premolar